The primary goal of glucocorticoid treatment in rheumatoid arthritis is:
1. Suppression of inflammation and improvement in functional capacity
2. Reversal of the degenerative process
3. Development of a sense of well-being in the patient
4. Prevention of suppression of the hypothalamic pituitary adrenal axis

Correct answer: 1. Suppression of inflammation and improvement in functional capacity